Which can be used as Immunohistochemical marker for Juvenile Rhabdomyosarcoma?
1. Neurofilament
2. Desmin
3. Vimentin
4. Cytokeratin

Correct answer: 2. Desmin

Explanation: Desmin acts as IHC marker for muscle tissue, hence can be used in Rhabdomyosarcoma and leiomyoma.